In the Krebs cycle, Malonate competitively inhibits
1. Isocitrate dehydrogenase
2. Succinate thiokinase
3. Succinate dehydrogenase
4. a-Ketoglutarate dehydrogenase

Correct answer: 3. Succinate dehydrogenase

Explanation: The first dehydrogenation reaction, forming fumarate, is catalyzed by succinate dehydrogenase, which is bound to the inner surface of the inner mitochondrial membrane. The enzyme contains FAD and iron-sulfur (Fe-S) protein, and directly reduces ubiquinone in the electron transport chain. This is inhibited by Malonate Reference: Harper; 30th edition; Page no: 163